In which one of the following conditions Dactylitiscan not be seen?
1. Sickle - cell anemia
2. Beta thalassemia
3. Congenital syphilis
4. Tuberculosis

Correct answer: 2. Beta thalassemia

Explanation: Ans. is 'b' i.e., Beta thalassemia Dactylitis is inflammation of the digits. It is seen typically in sickle cell ds. & tuberculosis Other causes are - Sarcoidosis - infection : leprosy, salmonella, yaws, syphillis